All are true about components of Virchow’s triad except?
1. Vasculitis
2. Increased Protein C
3. Stasis in veins
4. Turbulence in artery

Correct answer: 2. Increased Protein C

Explanation: Virchow's Triad (in thrombosis) includes:
1. Endothelial injury
2. Stasis or turbulent blood flow
3. Hypercoagulability